Which of the following is teratogenic:
1. Folate
2. Cyanocobalamin
3. Vitamin A
4. Vitamin C

Correct answer: 3. Vitamin A

Explanation: Ans. C: Vitamin APharmacological doses of vitamin A are teratogenic and in pregnancy the daily dose must not exceed 6000-8000 IU.Synthetic analogues of vitamin A:TretinoinIsotretinoinEtretinateAcetretinTeratogenic drugsDrugs and medications:- Tobacco Caffeine- Drinking alcohol (ethanol) (fetal alcohol spectrum disorder),- Isotretinoin (13-cis-retinoic acid)- Temazepam- Nitrazepam- Aminopterin or methotrexate- Androgenic hormones Busulfan- Captopril, enalapril- Coumarin- Cyclophosphamide- Diethylstilbestrol-Phenytoin (diphenylhydantoin)Lithium- Methimazole- Penicillamine- Tetracyclines- Thalidomide- Trimethadione- Flusilazole- Valproic acidEnvironmental chemicals:- Polycyclic aromatic hydrocarbons (polynuclear aromatic hydrocarbons)- Polychlorinated biphenyls (PCBs)- Polychlorinated dibenzodioxins a.k.a dioxin,- Organic mercuryIonizing radiation:- Atomic weapons fallout (Iodine-131, uranium)- Background radiationDiagnostic x-rays- Radiation therapyInfections:- Cytomegalovirus- Herpes virus- Parvovirus B19- Rubella virus (German measles)- Syphilis- Toxoplasmosis An easy way to remember maternal infections is TORCH: Toxoplasmosis, Other agents, Rubella, CMV and HSV.Metabolic imbalance:- Alcoholism Diabetes- Folic acid deficiency- Iodine deficiency- Hyperthermia